Treatment of early cases of vocal nodules is -
1. Excision
2. Laser Ablation
3. Voice therapy
4. Tissue sampling followed by definitive therapy

Correct answer: 3. Voice therapy

Explanation: Ans. is 'c' i.e., Voice therapy * Early cases of vocal nodules can be treated conservatively by educating the patient in proper use of voice. Many nodules especially in children, disappear with this treatment.* Surgery is required for large nodules or long standing nodules in adults. Microscopic (microlaryngoscopic) excision is the treatment of choice.